Linitis plastica is commonly seen in -
1. Ca. stomach
2. Sarcoidosis
3. Lymphoma
4. Leiomyosarcoma

Correct answer: 1. Ca. stomach